A patient, resident of Himachal Pradesh presented with a series of ulcers in a row, on his right leg. The biopsy from the affected area was taken and cultured on Sabouraud's Dextrose agar. What would be the most likely causative organism ?
1. Sporothrix schenckii
2. Cladosporium spp.
3. Pseudoallescheria boydii
4. Nocardia

Correct answer: 1. Sporothrix schenckii